Crude death rate is an indicator that shows relationship between -
1. Population & total morntality
2. Population & proportional mortality
3. Population & age-specific mortality
4. None of the above

Correct answer: 1. Population & total morntality

Explanation: park's textbook of preventive and social medicine 23rd edition. *crude death rate:no of death during the year divided by mid year population multiplied by 1000.